Which of the following is/ are seen in Hyperparathyroidism?
1. Osteitis fibrosa cystica
2. Osteoporosis
3. Dissecting osteitis
4. All the above

Correct answer: 4. All the above

Explanation: Answer- D. All the aboveHealing responseOsteitis fibrosa cysticaOther manifestationsAbsence of lamina dura (demineralization of mandible)Pinhead stippling of skullMarrow fibrosisResorptionDiffuse bone resorptionSubperiostal bone resorption of phalangeal tuftsBrown tumor of hyperparathyroidismOsteoporosisDeformityPathological fractures